The term 'ragged red fibers' is applied to describe the skeletal muscle fibers in -
1. Myotonic dystrophy
2. Nemaline myopathy
3. Spinal muscular atrophy
4. Mitochondrial myopathy

Correct answer: 4. Mitochondrial myopathy

Explanation: Answer- D. Mitochondrial myopathyThe term 'ragged redfibers' is typically applied to describe the skeletal muscle fibers in mitochondrial myopathy.